Most common histological variant of RCC is:
1. Clear cell carcinoma
2. Papillary carcinoma
3. Chromophobe carcinoma
4. Collecting duct carcinoma

Correct answer: 1. Clear cell carcinoma

Explanation: Renal cell carcinoma Clear cell carcinoma (70%) Sporadic (mc), Familial Papillary carcinoma (15%) Papillary growth pattern Familial and sporadic forms Chromophobe carcinoma (5%) Prominent cell membranes and pale eosinophilic cytoplasm, Halo around the nucleus. Collecting duct (Bellini duct) carcinoma (<1%) From collecting duct cells in the medulla